Loss of corneal reflex is due to injury of
1. Ophthalmic division of trigeminal nerve
2. Optic nerve
3. Oculomotor nerve
4. 1 and 2.

Correct answer: 1. Ophthalmic division of trigeminal nerve

Explanation: Loss of corneal reflex may result due to injury of Ophthalmic division of trigeminal nerve (afferent limb) or injury of Facial nerve (efferent limb).